HIV treatment in pregnancy
1. After diagnosis till lifelong
2. After 1st trimester till lifelong
3. After diagnosis till puerperium
4. After pregnancy till lifelong

Correct answer: 1. After diagnosis till lifelong

Explanation: Ref. DC Dutta's Textbook of Obstetrics. Pg 352
 
Regardless of HIV viral load and CD4 count, all HIV infected pregnant women should be offered antiretroviral therapy (ART) after diagnosis till lifelong to reduce perinatal transmission

ART should focus on reduction of perinatal transmission and treatment of maternal HIV disease.
It reduces perinatal transmission by several mechanisms , including lowering maternal antepartum viral load and pre exposure and post exposure prophylaxis of the infant.
Therefore, for prevention of perinatal transmission of HIV ,combined antepartum, intrapartum, and infant antiretroviral prophylaxis is recommended .